Live attenuated vaccines are A/E-
1. Measles
2. Rabies
3. Oral polio
4. Yellow fever

Correct answer: 2. Rabies